Glucose transporter in myocyte stimulated by insulin in-
1. a) GLUT-1
2. b) GLUT-2
3. c) GLUT-3
4. d) GLUT-4

Correct answer: 4. d) GLUT-4

Explanation: GLUT- 4 is present in Heart, skeletal muscle, adipose tissue.